A patient with history of running nose and pain over medial aspect of the eye presents with sudden onset of high grade fever, prostration, chemosis, proptosis and diplopia on lateral gaze with congestion of the optic disc. Which of the following is the most likely diagnosis:
1. Acute ethmoidal sinusitis
2. Orbital Cellulitis
3. Cavernous Sinus Thrombosis
4. Orbital Apex Sundrome

Correct answer: 3. Cavernous Sinus Thrombosis

Explanation: C i.e. Cavernous Sinus Thrombosis